Digoxin is contra indicated in:
1. Supraventricular tachycardia
2. Atrial fibrillation
3. Congestive heart failure
4. Hypertrophic obstructive cardiomyopathy

Correct answer: 4. Hypertrophic obstructive cardiomyopathy